Not a feature of ZES?
1. Diarrhea non-responsive to fasting
2. Epigastric pain
3. Large gastric ulcer
4. Secretin study is the investigation of choice

Correct answer: 3. Large gastric ulcer

Explanation: Feature of ZES. Diarrhea non- responsive to fasting (secretory diarrhea) Epigastric pain 2nd part of Duodenum, Multiple duodenum ulcer (Not present in stomach) Secretin study in the IOC - BAO/MAO = 0.6